Post-normal occlusion is
1. Class I with anterior crowding
2. Class II malocclusion
3. Class III malocclusion
4. Bimaxillary protrusion

Correct answer: 2. Class II malocclusion